M.C. nerve used for monitoring during anaesthesia –
1. Ulnar nerve
2. Facial nerve
3. Radial nerve
4. Median nerve

Correct answer: 1. Ulnar nerve

Explanation: In anaesthetic practice neuromuscular block monitored recording contractile responses of thumb muscle (adductor pollicis) to transcutaneous ulnar nerve stimulation. Facial nerve stimulation of orbicularis oculi is the second most common.